A pregnant lady in her first trimester presents with vaginal bleeding. On examination the os is closed and uterine size corresponds to the period of amenorrhoea. The condition could be:
1. Septic abortion
2. Complete abortion
3. Inevitable abortion
4. Threatend abortion

Correct answer: 4. Threatend abortion

Explanation: Ans. D: Threatend Abortion Estimates report that up to 50% of all fertilized eggs abort spontaneously, usually before the woman knows she is pregnant. Among known pregnancies, the rate is approximately 10%. These usually occur between 7 and 12 weeks of gestation. Increased risk is associated with women over age 35, women with systemic disease (such as diabetes or thyroid dysfunction), and those with a history of 3 or more prior spontaneous abortions Threatened abortion-The process of abortion has started but has not progressed to a state from which recovery is impossible. It presents with painless, slight bleeding per vaginum. Digital examination reveals a closed external os. Uterine size corresponds to the period of amenorrhoea. Inevitable abortion-The process of abortion has started and have progressed to a state from where recovery is impossible. It presents with painful, increased bleeding per vaginum. Digital examination reveals a dilated internal os. Complete abortion- It presents with painless, slight bleeding per vaginum. Digital examination reveals a closed external os.Uterine size is smaller than the period of amenorrhoea. Septic abortion presents with clinical evidence of infection of uterus and its contents.